Acetyl-CoA is transported out of the mitochondria in order to serve as a substrate for fatty acid or cholesterol synthesis. Which of the following enzymes used in this transport process provides NADPH required for these reductive biosynthesis reactions?
1. ATP-citrate lyase
2. Citrate synthase
3. Malate dehydrogenase
4. Malic enzyme

Correct answer: 4. Malic enzyme

Explanation: Do not confuse malic enzyme with malate dehydrogenase. Malate dehydrogenase Malic enzyme Produces NADH Produces NADPH